All of the following are usual features of left atrial Myxoma, except -
1. Raised ESR
2. Pyrexia
3. Markedly enlarged left atrium
4. Systemic Embolism

Correct answer: 3. Markedly enlarged left atrium